All of the following statements regarding Diabetes Mellitus are true, Except-
1. Insulin is not used in Type II Diabetes mellitus
2. Insulin levels may be increased in patients with Type II Diabetes mellitus
3. Insulin is essential to reverse Diabetic Ketoacidosis
4. Intravenous Insulin is administered as a sliding scale in the hospital setting

Correct answer: 1. Insulin is not used in Type II Diabetes mellitus

Explanation: The longer someone has type 2 diabetes, the more likely they will require insulin . There are several reasons people with type 2 diabetes may want to use insulin: It can quickly bring your blood glucose level down to a healthier range , It has fewer side effects than some of the medications . Insulin is used according to sliding scale in most of the cases . Sliding scale differs accordint to regions or some other reasons . Standard sliding scale protocol is as below Ref - pubmed.com